All are adulterants of Heroin, except :
1. Chalk powder
2. Quinine
3. Charcoal
4. Fructose

Correct answer: 3. Charcoal

Explanation: C i.e. Charcoal Eleven adulterants were identified with a frequency of occurrence that exceeded 5% Most commonly found compounds: Quinine), Mannitol, Lactose, ProcaineOther substances found included: Caffiene, Sucrose), Chalk(), Powder milk, Talcum powder, Starches etc.